Expectation of life, free of disability is known as:-
1. Park's index
2. Smith's index
3. Sullivan index
4. Life index

Correct answer: 3. Sullivan index

Explanation: Sullivan's index is defined as Disability free life expectancy (DFLE). Sullivan's index = Life expectancy -- duration of disability.